Most efficient route of HIV transmission is:-
1. Sexual
2. Blood
3. Needles/ syringes
4. Vertical

Correct answer: 2. Blood

Explanation: Routes of transmission of HIV: Sexual - MC Route - 90% new case in India ; least dangerous or least efficient route (0.01-0.1) Blood - Least common Route (<5); Most dangerous / efficient route (90% chances) Needles / syringes - 0.1 - 0.03% chance Vertical - 30% (from mother for child